Most specific histological lesion in diabetic nephropathy is-
1. Glomerular crescents
2. Immune complex deposition
3. Occlusion of glomeruli with fibrin caps
4. Nodular glomerulosclerosis

Correct answer: 4. Nodular glomerulosclerosis

Explanation: Nodular lesions of diabetic glomerulosclerosis are also called as Kimmelstiel- Wilson (KW) lesions or intercapillary glomerulosclerosis. These lesions are specific for type 1 diabetes (juvenile onset diabetes) or islet cell antibody-positive diabetes mellitus. The pathologic changes consist of one or more nodules in a few or many glomeruli. the nodule is an ovoid or spherical, laminated, hyaline, acellular mass located within a lobule of the glomerulus. Ref: Harsh Mohan textbook of pathology 6th edition page678